The function of Restriction II enzyme after binding to a unique recognition site is which of the following?
1. Prevention of protein folding
2. Removing formed DNA
3. Double stranded cut at palindromic DNA
4. Prevent blunt end formation

Correct answer: 3. Double stranded cut at palindromic DNA

Explanation: Type II restriction endonucleases recognize and bind specifically to a unique recognition site that is typically a 4-, 6-, or 8-bp palindrome. After binding they introduce a double-stranded cut at the sequence. Restriction cleavage occurs at one site producing "blunt ends" or, if it occurs in a staggered fashion, "overhanging ends". Ref: DNA Structure and Function By Richard R. Sinden, 1994, Page 55; Human Molecular Biology: An Introduction to the Molecular Basis of Health ... By Richard J. Epstein, 2003, Page 536